The commonest site of Pleomorphic adenoma is ?
1. Parotid salivary gland
2. Submandibular salivary gland
3. Sublingual gland
4. Submaxillary gland

Correct answer: 1. Parotid salivary gland

Explanation: Ans. is 'a' i.e., Parotid salivary glandPleomorphic adenoma o This is the Commonest neoplasm of Salivary glands.o The most Common salivary gland involved is Parotid - represent about 60% tumors in the parotid. o Submandibular and minor salivary glands may also be involved rarely.o Pleomorphic adenoma ---> Parotid > Submandibular > minor salivary glands.o They are derived from a mixture of ductal (epithelial ) and myoepithelial cells and therefore they show both epithelial and mesenchymal differentiation - Also called mixed tumor.